Which of the anatomical positions best describes the location of celiac plexus?
1. Anterolateral to Aorta
2. Posterolateral to Aorta
3. Anterolateral to sympathetic chain
4. Posteromedial to sympathetic chain

Correct answer: 1. Anterolateral to Aorta

Explanation: The celiac plexus lies on the anterolateral surface of Aorta.